Sexual intercourse by a human being with a lower animalis-
1. Bestiality
2. Cunnilingus
3. Tribadism
4. Sin ofgomorrah

Correct answer: 1. Bestiality

Explanation: Ans. is 'a' i.e., Bestiality o Section 377 IPC defines unnatural sexual offences as sexual intercourse against the order of nature with any man, woman or animal and lays down punishment for the same. These offences are sodomy, buccal coitus, tribadism (lesbianism), and bestiality'.Sodomyo Sodomy is sexual intercourse through anus. It is of two types : Homosexual and Heterosexual. In Homosexual, it is done by a male on another male. Heterosexual sodomy is anal intercourse with a women. The person who does the act is knowm as active agent and the person, on wrhom the act is done, is known as passive agent. If the passive agent is adult/elderly the act is knowTi as Gerontophilia. If the passive agent in sodomy is a child, act is called Paederasty, the passive agent is labelled as catamite, and the active agent is known as Paedophile,o Examination findings of sodomy areIn active agent: (i) Peculiar smell of anal gland secretion on penis, (ii) Fecal soiling, lubricant (if used) and blood on penis, (iii) Penis shaft is elongated and constricted in habitual sodomites with consequent twisting/ angulation of urethra, (iv) Abrasions on prepuce and glans penis, tearing of frenulum, swelling and redness of penis.In passive agent: Passive agent may beHabitual: (i) Funnel shaped anus with deeply situated ana! opening, (ii) Dilatation and laxity of anal sphincter, (iii) Shaved anal skin, (iv) Anal fissures and piles, (v) Lateral buttock truction test positive: On applying lateral traction on anus in normal person, there will be reflex contraction of anus, but in habitual sodomine there is comple relaxation of sphincter with dilatation of opening.Non-habitual (forcibly victimized) : (i) Presence ofsemen in anus is the only confirmatery evidence, (ii) Signs of violence around anus, i.e. abrasions, fisures, contusion or triangular bruised tear of posterior part of anus (in sudden violence).Other unnatural sexual offenceso Bestiality: is the sexual intercourse by a human being with a lower animal.o Tribadism (Lesbianism or female homosexuality): Sexual gratification of a women is obtained by another woman by kissing, body contact, manipulation of breast and genitalia. Active partner is called dyke or butch and the passive agent is called femme. This is not an offence in India.o Buccal coitus (coitus per as/sin of gomorrah): In this, the male organ is introduced into mouth, usually of a young child. Fellatio is oral stimulation of penis by male or female. Cunnilingus is oral stimulation of female genitals.